Type of necrosis in pancreatitis -
1. Fibrinoid
2. Coagulative
3. Fat
4. Caseous

Correct answer: 3. Fat

Explanation: Ans. is 'c' i.e., Fat o Fat necrosis is seen most frequently in acute pancreatitis due to leakage of lipase.Fat necrosisFat necrosis may be of two types : -1. Enzymatic fat necrosiso This is due to action of lipase on adipose tissue.o It occurs most frequently in acute pancreatitis due to leakage of lipase.o Depending on the severity of acute pancreatitis, fat necrosis may occur in : - Adipose tissue contiguous to pancrease, ue.y retroperitoneal fat Adipose tissue in anterior mediastinum. Bone marrow Omental and abdominal fat2. Nonenzymatic or Traumatic fat necrosiso Occurs due to traumao Is seen in subcutaneous tissue of breast, thigh, and abdomen.